Best agent for premenstrual syndrome management is ?
1. Progesterone
2. Anxiolytic
3. SSRI
4. Vitamin E

Correct answer: 3. SSRI